Erythrocyte transketolase activity is seen in which vitamin -
1. Riboflavin
2. Thiamine
3. Folic acid
4. Niacine

Correct answer: 2. Thiamine

Explanation: Ans. is 'b' i.e., Thiamine [Ref: Harper 29th/e p. 534}Thiamine fVitamin B1o Thiamine is also called aneurine. Thiamine has a central role in energy-yielding metabolism and especially the metabolism of carbohydrates. The active from of thiamine is thiamine pyrophosphate (TTP) also called thiaminediphosphate (TDP).o Thiamine diphosphate (TDP) or TPP is the coenzyme for three multienzyme complexes that catalyze oxidative decarboxylation:i) Pyruvate dehydrogenase in carbohydrate metabolism, which catalyzes the conversion of pyruvate to acetyl CoA.ii) a-Ketoglutarate dehydrogenase in citric acid cycle, which catalyzes the conversion of a-ketoglutarate to succinyl CoA.iii) Branched-chain keto acid dehydrogenase which catalyzes the oxidative decarboxylation of branched chain keto amino acids, i.e. leucine, isoleucine and valine.o Thiamine diphosphate is also the coenzume for transketolase, in the pentose phosphate pathway. Therefore, thiamine nutritional status is best assessed by erythrocyte (preferred) or whole blood transketolase activity.o Deficiency of thiamine causes:BeriberiWernicke's encephalopathy, with korsakoff psychosisLactic acidosis